Equal number of nucleotide bases are seen between which pair of nucleotides:
1. A=G
2. G=T
3. G=C
4. A=C

Correct answer: 3. G=C

Explanation: Ans. (c) G=CRef: Harper's Biochemistry; 30th ed. pg. 360-361Chargaffs Rules for Double stranded (ds) DNA| |* In all cellular DNAs regardless of species-- Number of adenosine residues is equal to no. of thymidine residues (i.e. A=T).- No. of guanosine residues is equal to no. of cystidine residues (G=C)* From these relationship it follows that sum of purine residues- A+G=T+C- Ratio of purine to pyrimidine is always around 1.T+CA+G =-1 - The base composition of DNA generally varies from one species to another- DNA specimens isolated from different tissues of same species have the same base composition.- The base composition of DNA in a given species does not change with an organism's age, nutritional state or changing environment.